Toxic amblyopia can be caused by
1. Ethanol
2. Methanol
3. Ethambutol
4. All

Correct answer: 4. All

Explanation: (Refer: AK Khurana Comprehensive Ophthalmology, 6th edition, pg no. 320)Toxic amblyopia is chronic retrobulbar neuritis which results from the damage to optic nerve by the exogenous poisonsIt is frequently bilateral and has a chronic course with permanent visual deteriorationThe toxic agents involve may be: Tobacco, ethyl alcohol, methyl alcohol, ethylene glycol, lead, arsenic, cannabis indica, carbon disulfide, various drugs like quinine, chloroquine, ethambutol, isoniazid, streptomycin, digitalis (digoxin), amiodarone, NSAIDs, vigabatrin and disulfiram